The most common site of neuroblastoma is __________
1. Posterior mediastinum
2. Adrenal medulla
3. Paravertebral sympathetic chain in abdomen
4. Skull

Correct answer: 2. Adrenal medulla

Explanation: The most common sites of primary tumors are the adrenal gland (30%), paravertebral retroperitoneum (28%), posterior mediastinum (15%), pelvis (5%) and cervical area. Cervical neuroblastoma can present with Horner syndrome. Reference: Essential paediatrics; O.P.Ghai; Childhood Malignancies; Page no: 616